Commonest site for ischemic colitis is:
1. Hepatic flexure
2. Splenic flexure
3. Descending colon
4. Ascending colon

Correct answer: 2. Splenic flexure

Explanation: Most comman site for Ischemic Colitis is SPLENIC FLEXURE.